Diffuse oesophageal spasm treatment is?
1. Pneumatic dilatation
2. Oxybutynin
3. Nitrates
4. Botulinum toxin and pneumatic dilation

Correct answer: 3. Nitrates

Explanation: Choice D is closely worded and is used primarily in the treatment of achalasia. Diffuse oesophageal spasm is managed by the following interventions: Nitrates and CCB Hydralazine Botulinum toxin Anxiolytics Long myotomy or esophagectomy for severe weight loss or unbearable in Diffuse oesophageal spasm Nutracker oesophagus Hypertensive LES Simultaneous non peristaltic contractions ( >20% of wet swallows ) Mean peristaltic amplitude of > 180 mm Hg for increased duration of contraction >7 seconds normal peristaltic sequence Elevated LES pressure > 26 mmHg normal LES relaxation Normal oesophageal peristalsis